All are poor prognostic for multiple myeloma except
1. t (11 14)
2. t (14 16)
3. 1q gain
4. t (4 14)

Correct answer: 1. t (11 14)

Explanation: A - Commonest mutation associated with multiple myeloma is 13q deletion. Poor prognostic factor associated with multiple myeloma are: 1. t (14 16) 2. 1q gain 3. 3.t (4 14) Risk Stratification in Myeloma CHROMOSOMAL ABNORMALITIES Method Standard Risk (80%) (Expected Survival 6-7+ Years) High Risk (20%)(Expected Survival 2-3 Years) Karyotype No chromosomal aberration Any abnormality on conventional karyotype Fish t (11:14) t(6:14) Del(13) Del (17p) t(4:14) t(14:16) t(14:20 amp 1q34